Deep ring is situated in
1. External oblique
2. Internal oblique
3. Fascialis tranversalis
4. Cremasteric fascia

Correct answer: 3. Fascialis tranversalis

Explanation: INGUINAL CANAL:- Oblique intermuscular passage in the lower part of the anterior abdominal wall.Extends from deep inguinal ring to superficial.Deep ring- oval opening in fascia transversalis. 1.25 cm above mid-inguinal point.Superficial ring: triangular gap in external oblique aponeurosis.Length: 4cmDirected downwards forwards and medially. {Reference: BDC 6E vol2 pg 213}